You are performing a 5-year follow-up on a 43-year-old implant patient. When comparing radiographs you estimate that there has been almost 0.1 mm loss of bone height around the implant since it was placed. Which of the following is indicated?
1. Removal of the implant and replacement with a larger size implant.
2. Removal of the implant to allow healing before another one can be placed 4 months later.
3. Remaking the prosthetic crown because of tangential forces on the implant.
4. The implant is doing well; this amount of bone loss is considered acceptable.

Correct answer: 4. The implant is doing well; this amount of bone loss is considered acceptable.

Explanation: Criteria for implant success include mean vertical bone loss of less than 0.02 mm annually after the first year of service. In this question, no further treatment is necessary at this time.